In contact dermatitis which cells play major role-
1. T-cells
2. B-cells
3. Langhan cells
4. Macrophage

Correct answer: 1. T-cells

Explanation: Contact dermatitis is a type IV hypersensitivity reaction. - this is a cell mediated response. The antigen activates specifically sensitised CD4 & CD8 T lymphocytes leading to the secretion of lymphokines and phagocyte accumulation. Reference : Anathanarayan & paniker's 9th edition, pg no: 162